Procedure of choice in a woman with 12 weeks pregnancy and atypical pap smear is:
1. Cone biopsy
2. MTP with cone biopsy
3. Hysterectomy
4. Colposcopy

Correct answer: 4. Colposcopy

Explanation: As discussed in the preceding text, all abnormal pap smears during pregnancy, should be followed by colposcopy